All of the following are true about Fast track surgery except:
1. Fasting 6 hours for solids & 2 hours for liquids
2. Use of romovac drain
3. Elimination of pain by regional anesthesia
4. Rapid postoperative mobilization

Correct answer: 2. Use of romovac drain

Explanation: Fast track surgery: - Coordinated perioperative appraoch aimed at reducing surgical stress & facililating postoperative recovery - Fast track surgery comprise: - Preoperative informed consent. - Fasting 6 hours for solids & 2 hours for liquids - Atraumatic surgical technique (avoid drains) - Reduction of stress - Elimination of pain by regional anesthesia( thoracic epidural anesthesia) - Optimized fluid & temperature management - Early enteral diet - Prevention of gastrointestinal atony & postoperative nausea & vomiting - Rapid postoperative mobilization